Podophyllum resin is indicated in the treatment of:
1. Psoriasis.
2. Pemphigus.
3. Condyloma acuminata.
4. Condylomata lata.

Correct answer: 3. Condyloma acuminata.

Explanation: Ans. is 'c' i.e. condyloma acuminata * Condyloma acuminata is a term given to venereal warts. It is caused by papilloma virus type 6, 11Podophyllin resin ImiquimodNote: Pregnant ladies should not be1.It is 5% cream of local interferontreated with podophyllin resins2.It shows better response in women 3.There is less risk in pregnancy 4.It is D.O.C. for women with venereal warts.* Other types of warts:Clinical typeType of HPV associatedCommon warts of hands and fingers2,4Deep plantar warts (myrmecia warts)1Plane warts3, 10Mosaic warts2Laryngeal papilloma6, 11Epidermodysplasia verruciformis5,8